Friedlander's bacillus is ?
1. E. coli
2. Pseudomonas aeruginosa
3. Klebsiella pneumoniae
4. Vibrio parahemolyticus

Correct answer: 3. Klebsiella pneumoniae

Explanation: Ans. is 'c' i.e., Klebsiella pneumoniae Organism's Other Names Organism Other name H.aegypticus Koch-Weeks's bacillus H.influenzae Pfeifer's bacillus Ps pseudomallei Whitmore's bacillus M.paratuberculosis Jone's bacillus M.intracellulare Battey's bacillus C.diphtheriae Kleb's Loeffler's bacillus C.pseudotuberculosis Prisch-Nocard bacillus C. pseudodiphtheriticum Hoffman's bacillus Klebsiella pneumoniae Friedlander's bacillus Klebsiella rhinoscieromatis Frisch bacillus Klebsiella ozaenae Perez or Abel's bacillus Legionella micdadei Pittsburg pneumonia agent Mycoplasma pneumoniae Eaton agent C. tetani Nicolair' s bacillus